Casoni's test is used in the diagnosis of which of the following infection?
1. Echinococcus granulosus
2. Toxoplasmosis
3. Toxocariasis
4. Syphilis

Correct answer: 1. Echinococcus granulosus

Explanation: Casoni's test is an intradermal reaction used for diagnosis of Echinococcus granulosus infection. In this test 0.25ml of fluid is from the hydatid cyst is injected intradermally and the result is noted within half hour to 24 hours. Reaction of 5cm in diameter is considered to be positive. Kveim test: It is used for the diagnosis of sarcoidosis. In this test 0.1ml of sarcoid lesion in the lymph node is injected intradermally and the result is noted in 4-6 weeks. Frei's test: It used for diagnosis of lymphogranuloma inguinale infection. Tuberculin test is used in the diagnosis of tuberculosis. Ref: Clinical Pathology and Clinical Bacteriology By Sachdev page 305.